In civil cases, conduct money is decided by -
1. Opposite party
2. Judge
3. Doctor
4. Witness

Correct answer: 2. Judge

Explanation: CONDUCT MONEY: It is the fee paid to a witness in civil cases at the time of serving the summons, to meet the expenses for attending a court. If d fee is not paid, or if he feels that the amount is less, the witness can bring this fact to the notice of the Judge before giving evidence& Jude will decide the amount to be paid. In criminal cases, no conduct money is paid. Ref: The synopsis of forensic medicine and Toxicology by Dr. K.S. Narayan Reddy 28th edition pg no-5.